Clinical features of normal pressure hydrocephalus include all of the following except -
1. Dementia
2. Aphasia
3. Gait disturbance d) Urinary incontinence
4. Urinary incontinence

Correct answer: 2. Aphasia